All of the following are true about Cholesterol Ester Transfer Protein(CETP) , EXCEPT:
1. Associated with HDL
2. Facilitates the transfer of cholesterol ester from HDL to LDL
3. Facilitates the transfer of triacylglycerol from LDL to HDL
4. Facilitates the transfer of triacylglycerol from HDL to LDL

Correct answer: 4. Facilitates the transfer of triacylglycerol from HDL to LDL

Explanation: Cholesterol ester transfer protein (CETP): Facilitates the transfer of cholesterol ester from HDL to VLDL, IDL and LDL in exchange for triacylglycerol. Relieves the product inhibition of the LCAT enzyme.